A patient of pulmonary tuberculosis was put on anti-tuberculosis therapy. He was given Rifampicin, INH, Ethambutol and Pyrazinamide He should be advised to have a supplement of
1. Niacin
2. Riboflavin
3. Pyridoxine
4. Thiamine

Correct answer: 3. Pyridoxine